Which of the following drug bind to tubulin and arrest metaphase of the cell cycle?
1. Vincristine
2. Carmustine
3. Infliximab
4. Methotrexate

Correct answer: 1. Vincristine

Explanation: Vinca alkaloids, griseofulvin, taxanes, albendazole act on metaphase of cell cycleVinca alkaloids inhibit polymerization of microtubulesTaxanes inhibit depolymerization of microtubulesGoodman Gillman 12th ed. Pg 1705.